Deficiency of vit. C in infant is best estimated by Vit C level in -
1. Plasma
2. Urinary excretion
3. Buffy coat estimation
4. Adrenal cortical Vit. C estimation

Correct answer: 3. Buffy coat estimation

Explanation: Ans. is 'c' i.e., Buffy coat estimation Leukocyte vitamine C o Leukocyte concentration of vitamin 'C' is a better indicator of body store, it may be deficient even in the absence of clinical signs of deficiency. o It is estimated by buffy coat preparation. Plasma vitamin C o Plasma ascorbic and levels vary widely and cannot be relied upon to detect early vitamin C deficiency. Urinary vitamin C Saturation of the tissues with vitamin C can be estimated from the urinary excretion of the vitamin after a test dose of ascorbic acid. o Excretion of 80% of the test dose in the urine within 3-5 hr after parenteral administration is considered to be normal. o In vitamin C deficiency, less than 80% of test dose is excreted.